Cervical warts are seen with which HPV -
1. 11,13
2. 17,18
3. 5, 8
4. 6, 11

Correct answer: 4. 6, 11

Explanation: Genital warts (anogenital warts or condyloma acuminata) is most commonly caused by low risk HPV that is HPV-6,11. High risk HPV  that is HPV-16,18, 31, 33, 45 can lead to cervical carcinoma.